Gonads to testes differentiation -
1. SRY gene
2. WNT-4 gene
3. DAX1 gene
4. None

Correct answer: 1. SRY gene

Explanation: In normal differentation final form all sexual structures is consistent with normal sex chromosome (XX for female, XY for male).
46 XX chromosome with genetic factor such as DAX1 and signalling molecule WNT-4 necessary' for development of ovary'.
Y-chromosome contains SRY gene svhich differentiate gonads to testes.
Anti-mullerian hormone (AMH) also k/a mullerian-inhibiting substance - first testicular hormone secreted at 6-7 weeks of gestation which cause mullerian duct to regress.